Most common nerve to be affected in supracondylar fracture of humerus is: (Repeat)
1. Median nerve
2. Ulnar nerve
3. Radial nerve
4. Axillary nerve

Correct answer: 1. Median nerve

Explanation: Ref: The elbow and its disorders. by Bernard F. M or rex, Joaquin Sanchez-Sotelo, Page 226. Skeletal trauma in children, by Neil E. Green, Marc F Swiontkowski, Page 212.Explanation:Nerve injuries occur in about 40% of type III (Gartland's classification) supracondylar fractures.Earlier literature stated that radial nerve was the most commonly injured nerve in supracondylar fractures.Recent studies indicate that the anterior interosseous branch of median nerve is mostly affected.Nerve involvement differs with the type of fracture -1. Anterior interosseous nerve (a motor branch of the median nerve) is mostly affected during postero-lateral displacement of the distal fragment.Radial nerve is mostly affected w-ith postero-medial displacement.Ulnar nerve is involved in flexion type of supracondylar fracture.